All of the following techniques are used to control bleeding from bone during mastoid surgery except -
1. Cutting drill over the bleeding area
2. Diamond drill over the bleeding area
3. Bipolar cautery over the bleeding area
4. Bone wax

Correct answer: 1. Cutting drill over the bleeding area

Explanation: Cutting drill over the bleeding area will increase the bleeding instead of stopping it.
Diamond drill over the bleeding area will produce heat and stop the bleeding
Bipolar cautery can be used to control bleeding during mastoid surgery (Not monopolar cautery)
Bone wax is also commonly used to control bleeding during mastoid surgery (It seals the bleeding site).